Psychodynamic theory of mental illness is based on -
1. Unconscious internal conflict
2. Maladjusted reinforcement
3. Organic neurological problem
4. Focus on teaching patient to restrain absurd thoughts

Correct answer: 1. Unconscious internal conflict

Explanation: A traumatic event, which had occurred in childhood, is repressed into unconsciousness where it lies dormant without producing any symptoms. However, the repressed material is not always dormant and try to surface up to awareness (consciousness). The sensor of the conscious (preconscious) constantly guard against such eruptions because of the danger of revival of the original severe anxiety associated with trauma. However, sometimes, successful repression may break down when there is another traumatic event in later life and there is return of repressed unconscious matter to conscious awareness which produces symptoms of neurotic nature.
This unconscious internal conflict is the cause of the genesis of neuroses -p unconscious repressed mental contents surface up to conscious.